Drug not deposited in cornea:
1. Gold
2. Chloroquine
3. Amiodarone
4. Antimony

Correct answer: 4. Antimony

Explanation: Ans. Antimony